True about ALL –
1. Anemia
2. Leukopenia
3. Hepatomegaly
4. All of the above

Correct answer: 4. All of the above

Explanation: Clinical manifestations of ALL 

Symptoms related to depression of normal marrow function.
An accumulation of neoplastic blast cells in the bone marrow suppresses normal hematopoiesis by physical crowding and competition for growth factors.
This results in : -

Anemia → Fatigue, pallor
Neutropenia→Infection, fever
Throtnbocytopenia → Bleeding, petechiae, ecchymoses, epistaxis.

These are the most common sign & symptoms.

Bone pain and tenderness

Resulting from marrow expansion and infiltration of the subperiosteum.

Generalized lymphadenopathy, splenomegaly and hepatomegaly

Caused by neoplastic infiltration of these tissues.
More common in ALL than AML.

Symptoms related to compression of large mediastinal vessels or airway

In Pre-T ALL of thymus.

CNS manifestation

Due to meningeal involvement.
A headache, vomiting, nerve palsies.
More common in ALL than in AML.

Testicular involvement is also more common in ALL than in AML